Mitral valve prolapse can be described by which of the following statements?
1. Most affected individuals are asymptomatic
2. Men are affected more often than women
3. Ventricular arrhythmias are common
4. All of the above

Correct answer: 1. Most affected individuals are asymptomatic

Explanation: Ans. A. Most affected individuals are asymptomaticMost patients with mitral valve prolapsed are asymptomatic.Ventricular arrhythmias are uncommon, and mitral valve regurgitation and congestive heart failure develop infrequently.Women are affected more commonly than men.